Lesbianism is also known as:-
1. Masochism
2. Tribadism
3. Nymphomania
4. Transsexualism

Correct answer: 2. Tribadism

Explanation: * Lesbianism: female homosexuality is known as tribadism or lesbianism. The external genitals may showScratch marks, abrasions or teeth marks. It is a result of interactions of biological, psychologicaldevelopmental and sociologic factors. Lesbianism is not an offence in India.* Sodomy: Aka Greek love - anal intercourse b/w 2 males or b/w males and females. * Buccal coitus: Aka sin of Gomorrah.- Felatio - oral stimulation of penis, Cunnilingus - oral stimulation of vagina.* Nymphomania - Excessive sexual desire. * Among males Among females* Satyriasis Nymphomania * Transvestism : aka eonism. Transvestite is a person whose personality is dominated by the desire to be identified & thought of as a member of opposite sex. It is usually found in males who obtain sexual pleasure by wearing female dress.* Masochism: sexual gratification is obtained or increased by suffering pain usually found in males, but can be found in Females also.